The most abundant group of fibres in the PDL are
1. Trans-septal
2. Horizontal
3. Oblique
4. Apical

Correct answer: 3. Oblique